In a firearm injury, blackening seen around the entry wound is due to:
1. Flame
2. Smoke
3. Unburnt powder
4. Hot gases

Correct answer: 2. Smoke

Explanation: Ans. Smoke